Most common tumor of thyroid is -
1. Papillary
2. Follicular
3. Medullary
4. Hurthle cell

Correct answer: 1. Papillary

Explanation: Ans. is 'a' i.e., Papillary o Papillary carcinoma thyroid accounts for 80% of all thyroid maligrancv in Iodine sufficient areas.